The middle meningeal artery:
1. Enters the skull through the foramen ovale
2. Supplies the superolateral surface of the ipsilateral cerebral hemisphere
3. Runs a subdural course within the cranial cavity
4. Gives an interior branch which runs deep to the pterion

Correct answer: 4. Gives an interior branch which runs deep to the pterion